Aschoff's nodules are seen in -
1. Subacute bacterial endocarditis.
2. Libman - Sacks endocarditis
3. Rheumatic carditis
4. Non - bacterial Thrombotic endocarditis

Correct answer: 3. Rheumatic carditis

Explanation: • Aschoff’s bodies are characteristic focal inflammatory lesion of acute rheumatic fever found in any of the three layers of the heart.